Anterolateral arthroscopy of knee is for ?
1. To see patella femoral articulation
2. To see the posterior cruciate ligament
3. To see the anterior portion of lateral meniscus
4. To see the periphery of the posterior horn of medial

Correct answer: 1. To see patella femoral articulation

Explanation: Ans. is 'a' i.e., To see patella femoral articulation Standard Portals In Knee Arthroscopy : Anterolateral portal ? Almost all the structures within the knee joint can be seen except the posterior cruciate ligament, the anterior portion of the lateral meniscus and the periphery of the posterior horn of the medial meniscus in tight knees. Located 1 cm above the lateral joint line and 1 cm lateral to the margin of the patellar tendon. Anteromedial portal ? Used for additional viewing of lateral compartment and insertion of probe for palpation of medial and lateral compartment structures. Placed 1 cm above the medial joint line, 1 cm inferior to the tip of patella, and 1 cm medial to the edge of the patellar tendon. Posteromedial portal ? Located on the soft triangular soft spot formed by the posteromedial edge of the femoral condyle and the posteromedial edge of tibia. Used for viewing the posteromedial structures and for repair or removal of the displaced posterior horn of meniscal tears and for posteromedial loose body removal. Superolateral portal - Used for diagnostically viewing the dynamics of patello - femoral joint, excision of medial plicae. Located just lateral to the quadriceps tendon and about 2.5 cm superior to the superolateral corner of patella.